Childbirth trauma leading to urine incontinence is seen least in females with:
1. Android pelvis
2. Anthropoid pelvis
3. Gynecoid pelvis
4. Platypelloid pelvis

Correct answer: 1. Android pelvis

Explanation: Ans. is a, i.e. Android pelvisRef: Dutta Gynae 6th/ed p399Childbirth trauma causes damage of the pelvic floor and pubocervical fascia leading to urinary continence. The injury is more common in gynecoid and least in android pelvis.